A preterm infant showed apnoea at birth associated with bradycardia. Apnoea is defined as cessation of respiration for at least:
1. 2 sec
2. 5 sec
3. 10 sec
4. 20 sec

Correct answer: 4. 20 sec

Explanation: Apnea is defined as a respiratory pause lasting more than 20 seconds--or any pause accompanied by cyanosis and bradycardia. Shorter respiratory pauses associated with cyanosis or bradycardia also qualify as significant apnea, whereas periodic breathing, which is common in full-term and preterm infants, is defined as regularly recurring ventilatory cycles interrupted by short pauses not associated with bradycardia or color change. Ref: Thilo E.H., Rosenberg A.A. (2012). Chapter 2. The Newborn Infant. In W.W. Hay, Jr., M.J. Levin, R.R. Deterding, J.J. Ross, J.M. Sondheimer (Eds), CURRENT Diagnosis & Treatment: Pediatrics, 21e.